Acanthosis nigricans is associated with malignancies and:
1. Hypertension
2. MI
3. Insulin resistance
4. Leprosy

Correct answer: 3. Insulin resistance

Explanation: Ans. C i.e. Insulin resistance Acanthosis nigricans Characteristic of acanthosis nigricans: - Dark, - Thick, - Velvetty skin (in body folds and creases) MC cause of acanthosis nigricans: Type 2 DM Internal malignancies associated with acanthosis nigricans: - Adenocarcinoma lungs, - Carcinoma GIT etc.